The following does not occur with asbestosis ?
1. Methaemoglobinemia
2. Pneumoconiosis
3. Pleural mesothelioma
4. Pleural calcification

Correct answer: 1. Methaemoglobinemia

Explanation: Ans is 'a' i.e., Methaemoglobinemia